Characteristic feature of TB otitis media: (Repeat)
1. Multiple perforations in TM
2. Mastoiditis
3. Middle ear effusion
4. Ear discharge

Correct answer: 1. Multiple perforations in TM

Explanation: Ans: A (Multiple perforations in TM) Ref: Diseases of the Ear Nose and Throat by PL Dhingra 5th edn .2010.Page 83Explanation:TB otitis media is mostly secondary to pulmonary TB.More common in children and young adultsPatients have painless ear discharge which may be foul smelling and severe conductive hearing loss which is out of proportion to symptoms.On examination multiple perforations are seen on the tympanic membrane, pale granulation tissue in the middle ear and there maybe facial nerve palsyInvestigations include culture of the discharge. Histopat ho logical examination of the granulation tissues and chest X-ray for ruling out pulmonary TB.Treatment is with Anti tubercular drugs.